All of the following are true about Guillain Barre Syndrome (GBS), Except:
1. Ascending paralysis
2. Flaccid paralysis
3. Sensory level
4. Albumino-Cytological Dissociation

Correct answer: 3. Sensory level

Explanation: Answer is C (Sensory level): Guillion Barre syndrome is not associated with a distinct sensory level. Sensory involvement in GBS is mild. Although sensory symptoms (tingling / paraesthesias) may be prominent, cutaneous sensory deficits (eg loss of pain and temperature sensations) are usually mild (Harrison's) or even absent (Current Neurology). Motor Sensory Autonomic Rapidly evolving motor paralysis * Sensory disturbance may or may not be present * Autonomic Ascending (usually) in GBS and a distinct sensory level is not seen. involvement is Areflexic * Mild sensory involvement common (Reflexes Diminished or absent) - Cutaneous sensory deficits (e.g. loss of pain * May occur even in Symmetric (Weaknes is usually symmetric) and temperature sensation) are usually mild patients whose GBS is otherwise mild (Harrison's) or absent (Current Neurology) Flaccid Sphincter tone is normal - Sensory symptoms such as paraesthesias, tingling etc may be prominent (hut objective * Manifestations include * Loss of vasomotor Facial Nerve and other cranial nerves may be involved. sensory loss on clinical examination is mild/absent. control (Fluctuation in B.P / Postrual Bulbar muscles may be involved with difficulty in swallowing, speech etc. * Bladder dysfunction is uncommon. It is usually transient and seen only in severe cases (If Hypotension) * Cardiac Life threatening respiratory paralysis requiring ventilation may be seen. Bladder disturbance is prominent and comes early diagnostic possibilities other that GBS should be considered). dysrhythmias Prognosis Recovery is usually remarkable in GBS, although all patients may not recover fully. Approximately 85% of patients with GBS achieve a fill functional recovery within several months to a year-Harrison 15'''/2509 Treatment Treatment includes intravenous immunoglobulins (IV IG) or plasmapharesis both of which are equally effective (treatment should be initiated as early as possible as immunotherapy is believed to be no longer effective if initiated 2 weeks after first motor symptoms).